About Bragg peak effect of protons all are true except:
1. Electromagnetic radiation
2. Produce ionization in biological system
3. The dose of a single beam is two to four times greater than the path dose
4. Beam therapy for AV malformation of the brain

Correct answer: 1. Electromagnetic radiation

Explanation: Ref. Grainger and Allison's Diagnostic Radiology. Page. 30
 
Bragg Peak

The Bragg peak is a pronounced peak on the Bragg curve which plots the energy loss of ionizing radiation during its travel through matter.
For protons, α-rays, and other ion rays, the peak occurs immediately before the particles come to rest